Anisocoria in dim light is maximally seen in -
1. 3rd nerve palsy
2. Pharmacological mydriasis
3. Horner syndrome
4. Parasympathetic paralysis

Correct answer: 3. Horner syndrome

Explanation: Anisocoria is a condition characterised by the unequal size of the eyes' pupils. Anisocoria which is worsened ( greater asymmetry between the pupils) in the dark suggests the small pupil (which should dilate in dark conditions) is the abnormal pupil. Suggests horner's syndrome or mechanical anisocoria. Anisocoria which is greater in bright light suggests the larger pupil (which should constrict in bright conditions) is the abnormal pupil. Suggests adie tonic pupil oculomotor nerve palsy, damaged iris and pharmocologic dilatation.